Iris bombe is due to -
1. Segmental posterior synechiae
2. Total posterior synechiae
3. Ring synechiae
4. Anterior synechiae

Correct answer: 3. Ring synechiae

Explanation: Annular posterior synechiae (ring synechiae) are 360o adhesions of pupillary margin to anterior capsule of lens. These prevent the circulation of aqueous humour from posterior chamber to anterior chamber (seclusio pupillae). Thus, the aqueous collects behind the iris and pushes it anteriorly (leading to 'iris-bombe' formation)